Treatment of chronic dacrocystitis -
1. Dacrocystorhinostomy
2. Antibiotics
3. Probing
4. All of the above

Correct answer: 4. All of the above

Explanation: Conservative treatment by probing and lacrimal syringing, Dacrocystorhinostomy, Antibiotics are used. Ref : ak khurana 6th edition page no 394 REF IMG